Which of the following has been shown to prolong life in patients with chronic congestive heart failure but has a negative inotropic effect on cardiac contractility?
1. Carvedilol
2. Digoxin
3. Enalapril
4. Furosemide

Correct answer: 1. Carvedilol